Minimum score of GCS scale is -
1. 1
2. 2
3. 3
4. 4

Correct answer: 3. 3

Explanation: Ans. is 'c' i.e., 3 Glasgow Coma Score:* It was devised to quantify the depth and duration of coma in patients of impaired consciousness.* Assessment of the cerebral cortex and brain stem functions is based on three responses to stimuli: eye opening response, verbal response, motor response.* Following table denotes the Glasgow coma score: Glasgow coma Scale Eye-Opening ResponseSpontaneous opening with blinking at baseling4 To verbal stimuli, command, speech3 To pain only (not applied to face)2 No response1Verbal ResponseOriented5 Confused conversation, but able to answer questions4 Inappropriate words3 Incoherent2 No response1Motor ResponseObeys commands for movement6 Purposeful movement to painful stimulus5 Withdraws in response to pain4 Flexion in response to pain (decorticate posturing)3 Extension response in response to pain(decerebrate posturing)2 No response1* Add the numbers from each category. Maximum score = 15, minimum score = 3.